The coronary sinus -
1. Lies in anterior part of the coronary sulcus
2. Ends in right atrium
3. Has venae cordis minimae as its tributaries
4. Develops from right anterior cardinal vein

Correct answer: 2. Ends in right atrium

Explanation: Development of coronary sinus is from the body and left horn of sinus venosus. It lies in the posterior part of the coronary sulcus and drains into the right atrium. Though the besian veins/ venae cordis minimae drain directly into the right atrium, the the besian valves are guarding the opening of coronary sinus into the right atrium.